What is epiphora?
1. Everted upper lid following surgery
2. CSF running through nose after injury
3. Abnormal flow of tears due to obstructed lacrimal duct
4. CSF running through ears after injury

Correct answer: 3. Abnormal flow of tears due to obstructed lacrimal duct

Explanation: Epiphora- It is characterised by overflow of tears from the conjunctival sac. The condition may occur either due to excessive secretion of tears (hyperlacrimation) or may result from inadequate drainage (outflow) of normally secreted tears. CSF running through nose after injury(CSF Rhinorrhae)-M/C Cause -fracature of cribriform plate of ethmoid CSF running through ears (CSF otorrhea) seen due to fracture of mastoid bone